'Dialysis Dementia syndrome' is seen in which poisoning?
1. Mercury
2. Lead
3. Aluminium
4. Arsenic

Correct answer: 3. Aluminium

Explanation: Dialysis-associated encephalopathy/dementia, the result of acute intoxication of aluminium caused by the use of an aluminium-containing dialysate, was a common occurrence prior to 1980. However, using modern techniques of water purification, such acute intoxication can now be avoided. Dialysis-associated encephalopathy/dementia (DAE) is always associated with elevated serum aluminium levels. Ref - Krishan Vij textbook of forensic medicine and toxicology 5e ,